All of the following drugs have been used for medical abortion except:
1. Mifepristone
2. Misoprostol
3. Methotrexate
4. Atosiban

Correct answer: 4. Atosiban

Explanation: Ans. is d, i.e. AtosibanRef. Dutta Obs. 7/e, p 173Drugs used for Medical abortion:Prostaglandins:-Misoprostol-GemeprostMifepristoneMethotrexateTamoxifen